The processing of short term memory to long term memory is done in
1. Prefrontal cortex
2. Hippocampus
3. Neocortex
4. Amygdala

Correct answer: 2. Hippocampus

Explanation: (B) Hippocampus # Role of Hippocampus in Memory# HIPPOCAMPUS is currently credited with being the area of the brain in which short term memories are converted into long term memories.> 3 major neuronal pathways have been described in the hippocampus that are responsible for conversion of short term memory into long term memory.> Long term potentiation (LTP) has been used as the cellular model re sponsible for long term memory in the Hippocampus - Journal of Neuroscience> Hippocampus is the site in brain where short term memory are converted into long term memory> Hippocampus is not the site where long term memory is stored.> Memory is a complex function of the brain that uses several storage buffers of differing capacity and duration. It can be divided into three major types: working, episodic, and long-term, or remote, memory.> Memory function includes registration (encoding or acquisition), retention (storage or consolidation), stabilization (consolidation), and retrieval (decoding or recall). Registration and retrieval are conscious processes. The process of encoding is dependent upon the frontal lobes and hippocampal complex, while the process of retrieval requires the frontal lobes.